Bacteria is not shed in
1. Carrier state
2. Latent infection
3. Incubation period
4. Subclinical infection

Correct answer: 2. Latent infection

Explanation: Ans. is 'b' i.e., Latent infection